Which of the following is not a second generation antihistamines
1. Cyclizine
2. Fexofenadine
3. Loratidine
4. Acrivastine

Correct answer: 1. Cyclizine

Explanation: Antihistamines are classified as first generation and second generation compounds on the basis of CNS penetration and anticholinergic properties. first generation antihistamines can penetrate blood brain barrier and possess additional anticholinergic properties which are lacking in second generation drugs. cyclizine is a first generation Where are citirizen ,loratidine and fexofenadine are second generation drugs Refer Goodman and Gilman 12/e p92